Haascheiben Cells in epidermis are responsible
1. Touch
2. Temperature
3. Pressure
4. Proprioception

Correct answer: 1. Touch

Explanation: Sensory receptors of skin Haascheiben cells in epidermis are responsible for: . Touch Ref Harrison20th edition pg 1234